Conn's syndrome is characterised by all except -
1. Polyuria
2. Polydipsia
3. Weakness
4. Anasarca

Correct answer: 4. Anasarca